A child having IQ of 25 falls in which category?
1. Educable
2. Trainable
3. Dependent
4. Needs life support

Correct answer: 3. Dependent

Explanation: ANSWER: (C) DependentREF: Shorter Oxford Textbook of Psychiatry 5th edition p. 708-712, Current Diagnosis & Treatment in Psychiatry p. 543CLASSIFICATION OF INTELLECTUAL DISABILITY: Mild MRModerate MRSevere MRProfound MRIQ50-7035-5020-35<20Quality of lifeEducableTrainableDependentNeeds life supportProgressClass 6Class 2--